In which of the following types of breast carcinoma, would you consider biopsy of opposite breast?
1. Lobular carcinoma
2. Comedo carcinoma
3. Medullary carcinoma
4. Adenocarcmoma-poorly differentiated

Correct answer: 1. Lobular carcinoma

Explanation: Lobular carcinoma is often a bilateral, multifocal process affecting premenopausal women. The risk for subsequent development of breast cancer involves the breast bilaterally. Therefore, biopsy of the contralateral (opposite) breast is advocated in lobular carcinomas. Ref: Baily and Love Short Practice of Surgery, 25th Edition, Chapter 50, Page 838; Breast Imaging By Gilda Cardenosa, Page 298; Management of Breast Diseases By Ismail Jatoi, Pages 169-72.